A new born presents with deepening cyanosis at birth, with congestive heart failure and normal first heart sound. X-ray reveals cardiomegaly diagnosis is -
1. Tetralogy of fallot's
2. Ebstein anomally
3. Transposition of great vessels
4. Tricuspid atresia

Correct answer: 3. Transposition of great vessels

Explanation: Ans. is 'c' i.e., Transposition of great vessels